Systematic observation and recording of activities of individuals carried out at predetermined or random intervals is known as:
1. Input output analysis
2. Work sampling
3. Network analysis
4. None of the above

Correct answer: 2. Work sampling

Explanation: Systematic observation and recording of activities of individuals carried out at predetermined or random intervals is known as work sampling. It provides quantitative measurement of various activities. It helps in standardising methods of performing jobs and determining manpower needs of any organisation. Ref: Park 22nd edition pg: 815.